Depolarizing muscle relaxant –
1. Scoline
2. Ketamine
3. Halothane
4. Atracurium

Correct answer: 1. Scoline